Which one of these is absorbed in ileum?
1. Vitamin D
2. B12
3. Iron
4. Fat

Correct answer: 2. B12

Explanation: Vitamin B12 is predominantly absorbed in ileum Ref: guyton and hall textbook of medical physiology